A 35 year old tall male from New Jersy has Marfan syndrome, an autosomal dominant disorder with features of subluxated lens of the eye, mitral valve prolapsed. The defect lies in:
1. Gene on chromosome 15 encoding fibrillin
2. Gene on chromosome 16 encoding fibrillin
3. Gene on chromosome 17 encoding fibrillin
4. Gene on chromosome 18 encoding fibrillin

Correct answer: 1. Gene on chromosome 15 encoding fibrillin

Explanation: Gene on chromosome 15 encoding fibrillin